A one day census of inpatients in a mental hospital could
1. Give good information about the patients in that hospital at that time
2. Give reliable estimates of seasonal factors in admission
3. Enable us to draw conclusions about the mental hospitals of India
4. Enable us to estimate the distribution of different diagnosis in mental illness in the local area

Correct answer: 1. Give good information about the patients in that hospital at that time

Explanation: A census is defined by UN as the total process of collecting,complying and publishing demographic,economic and social data pertaining at a specified time or times to all persons in a country or delimited territory